Which of the following are the first incisors to erupt in an infant –
1. Lower central
2. Lower lateral
3. Upper central
4. Upper lateral

Correct answer: 1. Lower central

Explanation: 4-7 months old: The first baby teeth usually begin to break through (erupt) the gums at around 6 months old.
This can occur anywhere between four and seven months.
As a general rule, the first teeth to erupt are the two in the front bottom.
These are called the lower central incisors.